Causative agent of plague ?
1. Yersinia pestis
2. Yersinia enterocolitica
3. Yersinia pseudotuberculosis
4. Pasteurella septica

Correct answer: 1. Yersinia pestis

Explanation: Ans. is 'a' i.e., Yersinia pestis Infection caused by yersinia genus are divided into :? Plague :- It is a deadly infectious disease caused by yersinia pestis. Yersinosis :- It is characterized by infectious diarrhea, enteritis, ileitis and occasionally septicemia. It is caused by yersinia enterocolitica (most common) and yersinia pseudotuberculosis.